Quantitative DNA analysis/estimation is done by:
1. pH meter
2. Sphymometer
3. Spirometer
4. Spectrometer

Correct answer: 4. Spectrometer

Explanation: Ans. D. SpectrometerAbsorbance of UV light at 260nm can be used to estimate DNACan be done using spectrophotometer or simply spectrometer.Other options are self explanatory.